Berry aneurysm of the posterior communicating artery causes compression of
1. Optic nerve
2. Oculomotor
3. Trochlear nerve
4. Hypophysis cerebri

Correct answer: 2. Oculomotor

Explanation: Berry aneurysm in the vicinity of posterior communicating artery can compress the third carnial nerve and cause oculomotor nerve palsy Aneurysms of superior cerebellar artery or tip of the basilar artery can also compress the oculomotor nerve and produce its palsy Berry aneurysm on the internal carotid artery (near its termination) compresses the lateral aspect of optic chiasma and hence damages the visual information from the ipsilateral nasal visual field. Ref: Gray's 39e/p-22